A cardiac patient must be asked to stop one of the following drugs when he is coughing a lot
1. Diltiazem
2. Aspirin
3. Enalapril
4. Clopidogrel

Correct answer: 3. Enalapril